Obesity with intellectual disability is seen in ?
1. Prader-Willi syndrome
2. Turner syndrome
3. Fragile-X syndrome
4. Noonan syndrome

Correct answer: 1. Prader-Willi syndrome

Explanation: Ans. is 'a' i.e., Prader-Willi syndrome Prader-Willi syndrome is characterized by : Intellectual disability Short stature Hypotonia Obesity Hyperphagia Small hands and feet Hypogonadism.